Byssinossis occurs with
1. Sugarcane fibers
2. Silica fibers
3. Cotton fibers
4. Carbon particles.

Correct answer: 3. Cotton fibers